Which of the following congential anomalies is seen with maternal use of cocaine?
1. Sacral agenesis
2. Hydrops
3. Cerebral infarction
4. Hypertrichosis

Correct answer: 3. Cerebral infarction

Explanation: Cocaine - use has been associated with MI, arrhythmias aortic rupture, strokes seizures, bowel ischemia, hyperthermia, and sudden death Risk of vascular disruption within the embryo-fetus or placenta is highest after the first trimester and likely accounts for the increased incidence of stillbirths A number of cocaine related congenital anomalies due to vascular based disruption, they include skull defect, cutis aplasia, porencephaly, ileal atresia, cardiac anomalies and visceral infarcts